Magic syndrome is seen in:
1. Behcet disease
2. Aphthous major
3. Herpetiform
4. Bloom syndrome

Correct answer: 1. Behcet disease

Explanation: “MAGIC syndrome” (Mouth and Genital ulcers with Inﬂamed Cartilage) has been proposed to describe patients with clinical features of both relapsing polychondritis and Behcet disease.